A 45-year-old female came with complaints of blisters over her body followed by rupture of it and severe skin pain, it begins in the mouth. There is peeling of skin on applying pressure. The dermatologist told it is due to loss of cohesion and ds 3 & 1 are involved. What is the diagnosis?
1. Pemphigus vulgaris
2. Pemphigus foliaceus
3. Bullous pemphigoid
4. Dermatitis herpetiformis

Correct answer: 1. Pemphigus vulgaris

Explanation: Ans. A. Pemphigus vulgarisa. Pemphigus vulgaris is autoimmuneb. Acantholysis, Nikolsky signc. More than 40 yrsd. Begin in mucosal surfacese. Severe skin painf. Blister formed in suprabasal layer of epidermisg. Autoantigens involved are ds3 and ds1 (if skin too)h. Systemic steroids main treatment